Which among the following doesn't cause contracted kidney?
1. Diabetic nephropathy
2. Chronic glomerulo nephritis
3. Chronic pyelonephritis
4. Benign

Correct answer: 1. Diabetic nephropathy

Explanation: Except diabetic nephtopathy the rest of the following almost always cause shrunken kidneys. Three major histologic changes occur in the glomeruli of persons with diabetic nephropathy. First, mesangial expansion is directly induced by hyperglycemia, perhaps increased matrix production or glycosylation of matrix proteins. Second, thickening of the glomerular basement membrane (GBM) occurs. Third, glomerular sclerosis is caused by intraglomerular hypertension (induced by dilatation of the afferent renal artery or from ischemic injury induced by hyaline narrowing of the vessels supplying the glomeruli). The key change in diabetic glomerulopathy is augmentation of extracellular matrix. The glomeruli and kidneys are typically normal or increased in size initially, thus distinguishing diabetic nephropathy from most other forms of chronic renal insufficiency.